Collagen synthesis requires which vitamin -
1. Vitamin B1
2. Vitamin D
3. Vitamin C
4. Vitamin E

Correct answer: 3. Vitamin C

Explanation: Ans. is 'c' i.e., Vitamin C o Hydroxylation of proline and lysine during collagen synthesis requires vitamin C (ascorbic acid), molecular oxygen (O2), (X-ketoglutarate and enzymes dioxygenases (prolyl hydroxylase, lysyl hydroxylase).